Dawbarn sign is seen in
1. Infraspinatus tendinitis
2. Subacromial bursitis
3. Achlilles tendon injury
4. rotator cuff tear

Correct answer: 2. Subacromial bursitis

Explanation: In SUBACROMIAL BURSITIS, pressure over the deltoid below the acromion with the arm hanging by side causes pain. However when the arm is abducted,pressure overthe same point causes no pain because bursa disappears under acromion. This disappearnce of pain is called 'DAWBARN SIGN',very useful test to determine subacromial bursitis. Ref: maheswari 9th ed